A patient presented with acute abdominal pain. On clinical suspicion patient underwent cholecystectomy. On histopathological examination the finding is normal. The gallbladder epithelium will be?
1. Squamous
2. Simple columnar
3. Simple columnar with brush border
4. Cuboidal with Stereocilia

Correct answer: 3. Simple columnar with brush border

Explanation: The lining of gall-bladder is columnar epithelium with brush border (irregularly placed microvilli).